Space of cloquet is phylogenetically related to -
1. Hyaloid artery
2. Central Retinal artery
3. Central retinal vein
4. Iris

Correct answer: 1. Hyaloid artery

Explanation: Ans. is 'a' i.e., Hyaloid artery Cloquet's canalo It is the embryonic remnant of hyaloid artery.o It runs from the optic nerve, where it originates in shape of funnel and creates the peripappiiary space of Martegiani, and narrows as it passes through the central vitreous until it reaches the retrocrystalline lens zone,o The anterior vitreous space, or anterior hyaloid is inserted in the posterior capsule of crystalline lens forming a circular zone 8-9 mm in diameter known as Weigershyaioidocapsular ligament,o This ligament constitutes the union between the anterior hyaloid and the anteriormost portion of the Cloquet's canal, leaving a space between the two, called Berger's space.